Corkscrew esophagus is seen in which of the following conditions?
1. Carcinoma esophagus
2. Scleroderma
3. Achalasia cardia
4. Diffuse esophageal spasm

Correct answer: 4. Diffuse esophageal spasm

Explanation: Ans. (d) Diffuse esophagus spasmRef Sabiston 20th edition, Pages 1015-1018 Salient Points in DES:* Most common in women (Achalasia - Equal)* High amplitude repetitive contraction (Achalasia - Low Amplitude)* Chest pain and dysphagia* Cork screw appearance* Gold standard - Manometry* Main stay of management is Nonsurgical and medical with nitrates and CCB* Long esophagomyotomy is for failed cases and cases with epiphrenic diverticulumSalient Points in Nut cracker esophagus:* Super squeeze esophagus* MC and Most painful hypermotility disorder.* Medical management is the only option.